True about Angiofibroma
1. Radiotherapy is the main treatment
2. Recurrence rate is high
3. Exclusively in females
4. Biopsy is must before initiating treatment

Correct answer: 2. Recurrence rate is high